False about hereditary fructose intolerance is:
1. Deficiency of fructose 1- phosphate aldolase.
2. Accumulation of fructose 1- phosphate in tissues
3. Hyperglycemia
4. Liver & kidneys are involved.

Correct answer: 3. Hyperglycemia

Explanation: C i.e. HyperglycemiaHereditary fructose intolerance due to deficiency of aldolase BQ, causes fructose induced hypoglycemiaQ despite the presence of high glycogen reserve. The accumulation of fructose 1- PO4 and fructose 1, 6- PO4 allosterically inhibit liver phosphorylase